The vitamin deficiency implicated in metaplasia of respiratory epithelium is:
1. Vitamin-A
2. Vitamin-C
3. Vitamin-B
4. Vitamin-E

Correct answer: 1. Vitamin-A

Explanation: Factors that incriminated in the pathogenesis of lung cancer: Chromosome deletions (particularly 11p, 13q, 17p, and 3p) Tumor suppressor gene mutations (p53, Hap-1, ErbAb, etc) High-level expression of both growth factor genes (insulinlike and transferrinlike growth factors) Epidermal growth factor receptors (HER2/neu,EGFR1, etc) Protooncogenes (c-, N- and L-myc; H-, N-, and K-ras; and c-myb) Vitamin A deficiency Air pollution Exposure to arsenic, cadmium, chromium, ether, and formaldehyde Employment as bakers, cooks, construction workers, cosmetologists, leather workers, pitchblende miners, printers, rubber workers, and pottery workers Ref: Theodore P.R., Jablons D. (2010). Chapter 18. Thoracic Wall, Pleura, Mediastinum, & Lung. In G.M. Doherty (Ed), CURRENT Diagnosis & Treatment: Surgery, 13e.